Waste water from kitchen is called as
1. Refuge
2. Garbage
3. Sullage
4. Sewage

Correct answer: 3. Sullage

Explanation: Sewage is wastewater from a community, containing solid and liquid excreta, derived from houses, street and yard washings, factories and industries.Resemble dirty water with an unpleasant smell.The term 'sullage' is applied to wastewater which does not contain human excreta, ex: wastewater from kitchens and bathroomsPark 23e pg: 762